What is the meaning of the term hydrocution?
1. Electrocution in water
2. Dry drowning
3. Drowning in cold water
4. Postmortem immersion

Correct answer: 3. Drowning in cold water

Explanation: Hydrocution or immersion syndrome or submersion inhibition: Death results from cardiac arrest due to vagal inhibition as a result of, a) Cold water stimulating the nerve endings of the surface of the body b) Water striking the epigastrium c) Cold water entering the ear drums, nasal passages, and the pharynx and larynx which cause stimulation of nerve endings of mucosa Ref: The essentials of forensic medicine and toxicology by Dr K S Narayan Reddy, 27th edition, Page 324.